Lesser sac of stomach is bounded by -a) Posterior wall of stomachb) Visceral surface of spleenc) Under surface of liverd) Greater omentum
1. abc
2. acd
3. bc
4. bde

Correct answer: 2. acd

Explanation: Boundaries of the lesser sac are:-


Anterior wall:- a Caudate lobe of the liver, stomach, lesser omentum, and 2nd layer of the greater omentum.
Posterior wall:- 3rd layer of greater omentum, and structures forming stomach bed (transverse colon, transverse mesocolon, diaphragm, left kidney, left suprarenal gland, pancreas, and splenic vessels).
Right border :- Right free margin of greater omentum and floor of epiploic foramen.
Left border:- Left free margin of greater omentum; gastrosplenic, lino renal and gastrophrenic ligaments.
Upper border:- a reflection of the peritoneum from the esophagus to diaphragm.
Lower border:- Continuation of 2nd and 3rd layers of the greater omentum.